The drug in Norplant sub - dermal implant hormonal contraceptive is :
1. Norethisterone
2. Norethynodrel
3. Medroxy - progesterone
4. Levonorgesterol

Correct answer: 4. Levonorgesterol

Explanation: Levonorgesterol